Dense middle cerebral artery (MCA) Sign in brain is seen in
1. Acute infarct
2. Subacute infarct
3. Subacute haemorrhage
4. Chronic infarct

Correct answer: 1. Acute infarct

Explanation: The hyperdense MCA sign refers to the focally increased density of the middle cerebral artery on CT and is a direct visualization of thromboembolic material within the lumen. It is thus the earliest visible sign of MCA infarction as it is seen within 90 minutes after the event - acute infarct. It is the longitudinal equivalent of the MCA dot sign and hyperdense basilar tip sign.